Retinal tear is associated with which degeneration:
1. Equatorial drusen
2. Reticular pigmentary degeneration
3. Paving stone degeneration
4. Lattice retinal degeneration

Correct answer: 4. Lattice retinal degeneration

Explanation: Ans. D: Lattice retinal degeneration There are a number of retinal degenerations known as benign peripheral retinal degeneration which do not threaten the retina or lead to retinal breaks. Such lesions are known as snowflakes, because of their dotted white appearance, which soon come close to the ora serrata. For example: Paving stone degeneration Reticular pigmentary degeneration Equatorial drusen Peripheral microcystoid degeneration